Clear cell renal carcinoma is due to?
1. 3p deletion
2. 3q deletion
3. 6p deletion
4. 9p deletion

Correct answer: 1. 3p deletion

Explanation: ANSWER: (A) Chromosome 3pREF: Robbins 8th Edn Page 964, 288, 295,1343, Schwartz 9th ed chapter 40Repeat Pathology 2013 Session 1 (Different options)Indirect repeat Pathology 2001, 2002